VLC resins are also called as
1. Microwave-activated resins
2. Tertiary amine-activated resins
3. Light activated resins
4. Heat activated resins

Correct answer: 3. Light activated resins